Leading cause of death in CLL is?
1. Infections
2. Bleeding
3. Meningeal and ventricular extension
4. DIC

Correct answer: 1. Infections

Explanation: Infections are a leading cause death in patients with CLL Abnormalities in cellular and humoral immunity leading to the immune dysfunction patients are at risk for both typical and atypical infections. Most CLL therapies can increase infection risk. Hence prophylaxis for Pneumocystis pneumonia and viral infections is indicated for at least 6 months following therapy to allow recovery of functional T cells. Extra edge MC leukaemia in adults : CLL Binet Classification : for CLL Smudge cells seen in : CLL